Lendrum's stain is done for:
1. Air embolism
2. Fat embolism
3. Amniotic fluid embolism
4. Pulmonary embolism

Correct answer: 3. Amniotic fluid embolism

Explanation: Ans. Amniotic fluid embolism